To control pain in long standing cancer cases, the recommended route of administration is:
1. i.v
2. Subcutaneous
3. Sublingual
4. Oral

Correct answer: 4. Oral

Explanation: Oral route is the preferred route for administration of analgesics in cancer patients, even for long standing pain due to ease of dosing, reliability and convenience.